STEP wise approach to surveillance for Non - Communicable diseases step 2 is
1. Behavioural measurement
2. Physical measurement
3. Biochemical Measurement
4. Emotional Assessment

Correct answer: 2. Physical measurement

Explanation: STEPS Compriser or 3steps

Step 1 = Behavioural measurements
Step 2 = Physical measurements
Step 3 = Biochemical measurements